Salivary glands are:
1. Merocrine.
2. Apocrine.
3. Holocrine.
4. Endocrine.

Correct answer: 1. Merocrine.